Absolute indication for cesarean section is :
1. Dystocia
2. Previous rupture of uterus
3. Breech presentation
4. Fetal distress

Correct answer: 2. Previous rupture of uterus

Explanation: Previous rupture of uterus